Hypercarbia is characterized by:
1. Miosis
2. Cool extremities
3. Bradycardia
4. Hypertension

Correct answer: 4. Hypertension

Explanation: Excess CO2 in arterial blood (hypercarbia/hypercapnia) has a direct peripheral effect; it causes cutaneous vasodilation. However, it acts on the VMC, resulting in increased sympathetic vasoconstrictor discharge. This will result in vasoconstriction in other vascular beds. These effects tend to cancel out, yet there is increased blood pressure. The overwhelming effect of CO2 on the VMC would cause hypertension. Hence, option D is correct. The increased sympathetic discharge would also cause tachycardia, mydriasis. There is cerebral and cutaneous vasodilation. Cutaneous vasodilation leads to flushed skin and warm extremities. There is increased sweating.